Most often used thickness of the matrix band is:
1. 0.0015 cm
2. 0.0015 inch
3. 0.015 inch
4. 0.0028 mm

Correct answer: 2. 0.0015 inch

Explanation: Various thickness of carbon steel and stainless steel matrix hands are available, with the thinner (0.0015 inch) most often used.